Ptosis with orbicularis oculi palsy is seen in:
1. Eaton Lambert syndrome
2. Myasthenia gravis
3. Polymyositis
4. Motor neuron disease

Correct answer: 2. Myasthenia gravis

Explanation: Ans. Myasthenia gravis